Methods of heat dissipation from the target, include:
1. Keeping target inclined at 20°
2. Rotating anode
3. Both 1 & 2
4. None of the above

Correct answer: 3. Both 1 & 2

Explanation: Methods of heat dissipation from target:

Keeping target inclined at 20°
Rotating anode.